Satellitism is seen in cultures of:
1. Hamophilus
2. Streptococcus
3. Klebsiella
4. Proteus

Correct answer: 1. Hamophilus

Explanation: Hamophilus